CYP 3A4 enzymes are affected by: a) Fexofenadine b) Phenytoin c) Carbamazepine d) Azithromycin e) Penicillin
1. ab
2. bc
3. ad
4. bd

Correct answer: 2. bc

Explanation: CYP3A4 cary out biotransformation of large number of drugs. The inhibition of this isoenzyme by erythromycin, clarithromycin, ketoconazole, itraconazole etc. is responsible for important drug interactions with terfenadine, astemizole and cisapride. Rifampicin, barbiturates and other anticonvulsants are important inducers.